Renal osteodystrophy differs from nutritional and metabolic rickets due to the presence of:
1. Hyperphosphatemia
2. Hypercalcemia
3. Hypophosphatemia
4. Hypocalcemia

Correct answer: 1. Hyperphosphatemia